Infections of the ring finger spread to the
1. Radial bursa
2. Ulnar bursa
3. Mid palmar space
4. Thenar space

Correct answer: 3. Mid palmar space

Explanation: Infections of the ring and middle spread into the mid palmar space. Index finger to thenar space Little finger spread to ulnar bursa and mid palmar space. Ref: Internet sources.